Most common site for squamous cell carcinoma esophagus is:
1. Upper third
2. Middle third
3. Lower third
4. Gastro-esophageal junction

Correct answer: 2. Middle third

Explanation: Answer is B (Middle 1/3rd) The most common site of squamous cell carcinoma of esophagus is middle 1/3rd. Site of squamous cell carcinoma Percentage of total Upper 1/3rd 20% Middle 1/3rd 50% Lower 1/3rd 30%